The operation that precipitates portosystemic encephalopathy is -
1. Splenorenal shunt
2. Siguira operation
3. Talma-Marison Operation
4. Portacaval anastomosis

Correct answer: 4. Portacaval anastomosis

Explanation: Ans. is 'd' i.e., Portacaval anastomosis